ICDS does not include
1. Immunisation
2. Health education
3. Family planning
4. Nutrition

Correct answer: 3. Family planning